A 42-year-old man experiences malaise and increasing icterus for 2 weeks. Physical examination shows jaundice, but there are no other significant findings. Serologic test results are positive for IgM anti-HAV and negative for anti-HCV, HBsAg, and IgM anti-HBc. Which of the following outcomes is most likely to occur in this man?
1. Chronic active hepatitis
2. Complete recovery
3. Fulminant hepatitis
4. Hepatocellular carcinoma

Correct answer: 2. Complete recovery

Explanation: The detection of IgM anti-HAV indicates acute infection. Progression of HAV infection to chronic hepatitis does not occur, but a few cases are complicated by fulminant hepatitis. HAV viremia is transient, so blood-borne transmission of HAV is rare. HAV is spread by the fecal-oral route, such as raw shellfish from a bay in which raw sewage is dumped.